Which of the following reflex is never shown by a spastic child:
1. Labyrinthine reflex.
2. Parachute reflex.
3. Babinski reflex.
4. All of the above.

Correct answer: 2. Parachute reflex.